Which is not an action of bradykinin?
1. Vasoconstriction
2. Increased vascular permeability
3. Chemo attractant
4. Pain on injection

Correct answer: 1. Vasoconstriction

Explanation: Bradykinin is a powerful vasodilator. (Ref: Textbook of physiology N Geetha 2nd edition page no.180)